In Marfan's syndrome lens dislocation is commonly seen –
1. Upwards
2. Downwards
3. Supero–temporally
4. Nasally

Correct answer: 3. Supero–temporally

Explanation: In Marfan syndrome there is superolateral (superotemporal) dislocation of lens.